Pigmented macules over palm seen on clinical examination. Histologically, proliferating melanocytes are found at the dermoepidermal junction. Diagnosis?
1. Halo nevus
2. Junctional nevus
3. Dermal Melanocytic nevus
4. Dysplastic nevus

Correct answer: 2. Junctional nevus

Explanation: Ans. b. Junctional nevusJunctional melanocytic nevus presents as pigmented macules.Dermal melanocytic nevus is skin colored (nonpigmented), dome-shaped papule.